Transmission of the following intestinal parasites occurs by the fecal-oral route, except
1. Giardia lamblia
2. Ascaris lumbricoides
3. Enterobius vermicularis
4. Strongyloides stercoralis

Correct answer: 4. Strongyloides stercoralis

Explanation: Parasites entering through feco-oral route:ProtozoaTrematodeCestodeNematodeHistolyticaGiardia lamblia Balantidium coli Sarcocystis hominids Sarcocystis suihominis Isospora Cyclospora Cryptosporidium parvum MicrosporidiaFasciola hepatica Fasciolopsis buski Clonorchis sinensis Opisthorchis felineusParagonimus westermaniGastrodiscoides hominis Watsonius watsoniMetagonimusTaenia solium T.saginataMulticepsDiphyllobothrium latum Spirometra Echinococcus granulosus MultilocularisH. nanaH. DiminutaDipylidium caninumAscaris lumbricoidesTrichuris trichiuraEnterobius vermicularis Trichinella spiralis Dracunculus medinensis Capillaria philippinensisAngiostrongylusTrichostrongylusOesophagostomumAnisakis simplexGnathostoma(Refer: Harrison's Principles of Internal Medicine, 18th edition, pg no: 1730, 1739-1744)